A 10yr old boy complains of fatigue and abdominal pain after playing football He also complains of painful swelling of digits in the past USG abdomen shows a small spleen which of the following is most likely diagnosis
1. Iron defficiency anemia
2. sickle cell anemia
3. pancreatitis
4. Megabblastic anemia

Correct answer: 2. sickle cell anemia

Explanation: history of young boy with dactyls and small spleen is suggestive of sickle cell anemia this question can also be solved by rejecting other options It cannot be iron deficiency anemia or pancreatitis since they will not have small spleen ref : robbins 10th ed